The most common cause of short stature is:
1. Constitutional
2. Systemic diseases
3. Hypothyroidism
4. Growth hormone deficiency

Correct answer: 1. Constitutional

Explanation: Physiological short stature resulting from normal variants of growth is more common than pathological short stature. Amongst the options provided constitutional delay is the only example of physiological short stature and is hence the single option of choice. Ref: O P Ghai 6th Edition, Page 50